Ball's operation is done for :
1. Ca. Cx
2. Ca. Ovary
3. Ca. Fallopian tube
4. Pruritus vulvae

Correct answer: 4. Pruritus vulvae

Explanation: Pruritus vulvae